In vitamin C deficiency, post-translational modification of which amino acid is defective
1. Lysine
2. Alanine
3. Glycine
4. Arginine

Correct answer: 1. Lysine

Explanation: Vitamin C is required for post-translational hydroxylation of proline and lysine residue.